Risk factors for malignant change in an asymptomatic patient with a gallbladder polyp on ultrasound include all of the following except
1. Age >60 years
2. Rapid increase in size of polyp
3. Size of polyp >5mm
4. Associated gallstones

Correct answer: 3. Size of polyp >5mm

Explanation: Risk factors for carcinoma Gallbladder Gallstones >3cm Procelain gallbladder Anomalous pancreaticobiliary junction Choledochal cysts Adenomatous polyps Primary sclerosing cholangitis Obesity Salmonella typhi infection Ref: Sabiston 20th edition Pgno : 1512